Oxygen as an emergency drug is contraindicated in
1. Anaphylaxis
2. Asthma
3. Hyperventilation
4. COPD

Correct answer: 3. Hyperventilation